Which of the following transmits 'Chagas' disease?
1. Itch Mite
2. Lice
3. Reduviid bugs
4. Sand fleas

Correct answer: 3. Reduviid bugs

Explanation: Reduviid bugs live exclusively on blood of animals including humans and transmit Trypanosoma cruzi which causes Chagas' disease. Chapter: Environment and health Ref: Park 21st edition, page: 720.